A 2 year old boy presents with pain in his groin that has been increasing in nature over the past few weeks. He is found to have a degenerative malformation of the transversalis fascia during development. Which of the following structures on the anterior abdominal wall is likely defective
1. Superficial inguinal ring
2. Deep inguinal ring
3. Sac of a direct inguinal hernia
4. Inguinal ligament

Correct answer: 2. Deep inguinal ring

Explanation: Deep inguinal rinng lies in the transversalis fascia, just lateral to the inferior epigastric vessels. Superficial inguinal ring is the aponeurosis of the external oblique muscle Inguinal ligament and the anterior wall of the inguinal canal are formed by the aponeurosis of the external oblique muscle. The sac of a direct inguinal hernia is formed by the peritoneum. Ref: Gray's Anatomy 41st edition Pgno: 1080